Mefloquine is contraindicated with -
1. Quinine
2. Atenolol
3. Enalapril
4. Verapamil

Correct answer: 1. Quinine

Explanation: Ans. is 'a' i.e., Quinine o Halofantrine or quinidine/quinine given to patients who have received mefloquine cause QTc lengthening -cardiac arrest may occur.